A 26 year old female patient complains of food lodgement in her lower right back tooth. On intra-oral examination, occlusal caries is seen with 46. The dentist decides to restore the tooth using composite restorative material and a self etching adhesive bonding system. The term ‘water trees’  related to this restoration can be associated with which of the following?
1. Microleakage
2. Nanoleakage
3. Marginal leakage
4. All of the above

Correct answer: 2. Nanoleakage

Explanation: The term “nanoleakage” has been used to describe small porosities in the hybrid layer or at the transition between the hybrid layer and the mineralized dentin that allow the penetration of minuscule particles of a silver nitrate dye. When ammoniacal silver nitrate is used, silver deposits penetrate the hybrid layer formed by either etch-and-rinse or self-etch adhesive materials. Penetration of ammoniacal silver nitrate results in two distinct patterns of nanoleakage:

A spotted pattern in the hybrid layer of self-etch adhesives, which might be caused by incomplete resin infiltration. 
A reticular pattern that occurs in the adhesive layer, most likely caused by areas where water was not totally removed from the bonding area.

The term “water trees” is associated with porosities in the polymerized adhesive layer. Silver uptake in hybrid layers formed by one-step SEAs is associated with areas of increased permeability within the polymerized resin from which water was incompletely removed. The residual water prevents complete polymerization.
Reference- Sturdevant 7th ed Pg-153